All are true regarding coup injury except
1. Injury at the site of impact
2. Occur when head is fixed
3. Severe than cotre- couple injury
4. External injury like contusion, laceration on scalp or skull fracture seen

Correct answer: 3. Severe than cotre- couple injury

Explanation: Features of coup injury Injury at the site of impact External injury like contusion, laceration on scalp or skull fracture Due to the direct impact on brain May occur when head is fixed Less severe than contre coup Ref: FORENSIC MEDICINE AND TOXICOLOGY Dr PC IGNATIUS THIRD EDITION PAGE 168